Gamma-carboxylation of glutamic acid in clotting factor II, VII and protein C is dependent on
1. Vitamin K
2. Vitamin C
3. Vitamin A
4. Vitamin E

Correct answer: 1. Vitamin K

Explanation: Post-translational modification by γ-carboxylation of factor II, VII, IX, IX, and Proteins C and S is vitamin K dependent.